Thanatology is the science that deals with :
1. Death in all its aspects
2. Solving paternity of the child
3. Identification of the living
4. Detection of lie

Correct answer: 1. Death in all its aspects

Explanation: Ans. is 'a' ie death in all its aspects. Reddy writes- "Thanatology deals with death in all its aspects"